Trismus is due to spasm of which of the following muscle
1. Buccinator
2. Lateral pterygoid
3. Medial pterygoid
4. Mentalis

Correct answer: 3. Medial pterygoid

Explanation: M - Medial pterygoid - inserted to ramus of mandible from inner side T - Temporalis - inserted into coronoid process of mandible M -Masseter-- inserted to ramus of mandible from outside Lateral pterygoid - depressor of mandible - pull mandible antero-inferiorly and open the mouth Antagonize (MTM muscles) *Tetanus neonatorum - spasm of masseter *Trismus - spasm of muscles of mastication especially medial pterygoid muscle. Mentalis: Deepest muscle of lower group arising from mandible just inferior to incisor teeth, with fibers passing downward & medially to insert into skin of chin. It raises & protrudes lower lip as it wrinkles skin of chin Help position lip when drinking from cup / when pouting Buccinator: Compresses cheek against teeth & is used in acts like blowing